Strawberry cervix is seen in
1. Gardenella vaginalis
2. Trichomonas vaginalis
3. Candida
4. Mycoplasma pneumoniae

Correct answer: 2. Trichomonas vaginalis

Explanation: FeatureNormal Vaginal ExaminationVulvovaginal CandidiasisTrichomonal VaginitisBacterial VaginosisEtiologyUninfected; lactobacilli predominantCandida albicansTrichomonas vaginalis (strawberry cervix)Associated with Gardnerella vaginalis, various anaerobic and/or noncultured bacteria, and mycoplasmas Typical symptomsNoneVulvar itching and/or irritationProfuse purulent discharge; vulvar itchingMalodorous, slightly increased dischargeDischarge AmountVariable; usually scantScantOften profuseModerate ColoraClear or translucentWhiteWhite or yellowWhite or grey ConsistencyNonhomogeneous, floccularClumped; adherent plaquesHomogeneousHomogeneous, low viscosity; uniformly coats vaginal wallsInflammation of vulvar or vaginal epitheliumNoneErythema of vaginal epithelium, introitus; vulvar dermatitis, fissures commonErythema of vaginal and vulvar epithelium; colpitis macularisNonepH of vaginal fluidbUsually 4.5Usually 4.5Usually 5Usually >4.5Amine ("fishy") odor with 10% KOHNoneNoneMay be presentPresentMicroscopycNormal epithelial cells; lactobacilli predominantLeukocytes, epithelial cells; mycelia or pseudomycelia in up to 80% of C. albicans culture-positive persons with typical symptoms Leukocytes; motile trichomonads seen in 80-90% of symptomatic patients, less often in the absence of symptomsClue cells; few leukocytes; no lactobacilli or only a few outnumbered by profuse mixed microbiota, nearly always including G.vaginalis plus anaerobic species on Gram's stain (Nugent's score 7) Other laboratory findingsIsolation of Candida spp. Isolation of T. vaginalis or positive NAATdUsual treatmentNoneAzole cream, tablet or suppository--e.g., miconazole or clotrimazole once daily for 7 days Fluconazole single doseMetronidazole or tinidazole single dose Metronidazole 7 daysMetronidazole for 7 daysMetronidazole gel once daily for 5 days Clindamycin, 2% cream vaginally each night for 7 daysUsual management of sexual partnerNoneNone; topical treatment if candidal dermatitis of penis is detectedExamination for STD; treatment with metronidazole, 2 g PO (single dose)None (Ref: K.D Chatterjee 13th edition, p49)